Which among the following drugs is used in ectopic pregnancy?
1. Mifepristone
2. Misoprostol
3. Methotrexate
4. Oxytocin

Correct answer: 3. Methotrexate

Explanation: Ans c Ref Williams Obstetrics page 247Tanaka & associates first used methotrexate to treat an interstitial preg-nancy and then it has been used successfully with ectopic pregnancy. Patient selectionInitial S. B hcg < lOOOmlU/ml-minimum failure rate size-ectopic mass<3.5cmFetal cardiac activity is a relative contraindication to medical therapy.RegimenSingle dose-50mg/m2 IM, follow up with serum b hcg2 doses- 50mg/m2 IM on day 0 & 4Variable dose Mtx Img/m2 IM on 1,3,5,7With leucoverin on 2,4,6,8